Which of the following is not a mouth temperature waxes:
1. Adaptol
2. Korrecta type I
3. HL physiologic paste
4. IOWA wax

Correct answer: 2. Korrecta type I